Whip lash injury occurs in
1. Pedestrian hit from front
2. Pedestrian hit from behind
3. Occupant of a car
4. Any of the above

Correct answer: 3. Occupant of a car

Explanation: Whiplash injury In Road traffic accidents, involving acceleration/ deceleration trauma. commonly sustained by the front seat occupant of a car with no or poorly adjusted head rest Sudden hyperextension & then hyperflexion of neck occurs Resulting in fatal contusion or laceration of spinal cord without fracture of spine.